A patient presented with headache and fever for 7 days. While doing a lumbar puncture, it was noticed that the opening CSF pressure increased on jugular vein compression and became normal on relieving the pressure on jugular vein. What is the interpretation of this?
1. Subdural blockage
2. Subarachnoid blockage
3. Arachnoid villi blockage
4. Patent subarachnoid space

Correct answer: 4. Patent subarachnoid space

Explanation: Queckenstedt maneuver IJV: Venous outflow Brain | ICP: Patent subarachnoid space i.e. no spinal block present If presence of sagittal vein thrombosis/spinal block then this maneuver will not increase in the pressure of manometer reading because entire circuit is blocked. Queckenstedt or Tobey- Ayer test: Compression of I.J.V. - rapid rise of C.S.F. pressure (50-100 mm water - rapid fall on release of compression. In L.S.T. no rise/ rise by only 10-20 mm water. Low sensitivity and specificity